Poisoning of food by which of the organisms has the shortest incubation period -
1. S. aureus
2. Salmonella
3. Botulism
4. Cl. perfringesn

Correct answer: 1. S. aureus